A primipara who had a prolonged labour and difficult vaginal delivery three months ago presents with complains of incontinence of loose stools and flatus from the day of delivery. The most likely diagnosis :
1. Chronic diarrhoea
2. Recto-vaginal fistula
3. Haemorrhoids
4. Complete perineal tear

Correct answer: 4. Complete perineal tear

Explanation: Complete perineal tear